The type of anchorage in which two groups of teeth move in equal and opposite direction is called as
1. Stationary
2. Reciprocal
3. Simple
4. Compound

Correct answer: 2. Reciprocal